Portion of tooth brush that assists in removal of plaque is
1. Tip of brush
2. Tip of bristle
3. Sides of bristle
4. Whole brush

Correct answer: 2. Tip of bristle